Subependymal calcified nodules are seen in
1. Sturge Weber syndrome
2. Tuberous sclerosis
3. Neurofibromatosis type 2
4. Von Hippel Lindau syndrome

Correct answer: 2. Tuberous sclerosis

Explanation: Definite Tuberous Sclerosis Complex is diagnosed when at least 2 major or one major plus 2 minor features are presentMajor featuresMinor featuresCoical tuberSubependymal noduleSubependymal giant cell astrocytomaFacial angiofibroma or forehead plaqueUngual or periungual fibroma (non-traumatic)Hypomelanotic macules (>3)Shagreen patchMultiple retinal hamaomasCardiac rhabdomyomaRenal angiomyolipomaPulmonary lymphangioleiomyomatosisCerebral white matter migration linesMultiple dental pitsGingival fibromasBone CystsRetinal achromatic patchConfetti skin lesionsNonrenal hamaomasMultiple renal cystsHamaomatous rectal polypsSubependymal nodules are lesions found along the wall of the lateral ventricles where they undergo calcification and project into the ventricular cavity, producing a candle-dripping appearance. These lesions do not cause any problems; however, in 5-10% of cases, these benign lesions can grow into subependymal giant cell astrocytomas (SEGAs).(Refer: Nelson's Textbook of Pediatrics, SAE, 1st edition, pg no. 2877 - 2878)